Following is a cause of secondary angle closure glaucoma -
1. Pseudophakia
2. Corticosteroid induced
3. Angle recession glaucoma
4. Congenital glaucoma

Correct answer: 1. Pseudophakia

Explanation: The abnormal lens may contribute by either causing pupillary block or by pushing the peripheral iris forward into the angle structures. Ref :Ophthalmology A K Khurana 6th edition chapter-10 page no :241